All of the following side effects can occur as a result of systemic absorption of lidocaine except:
1. Increased gastric motility.
2. Tonic clonic convulsions.
3. Decreased cardiac output.
4. Respiratory depression.

Correct answer: 1. Increased gastric motility.